The important fatty acid present in breast milk which is important for baby growth is:
1. Docosahexanoic acid
2. Palmitic acid
3. Linoieic acid
4. Linolenic acid

Correct answer: 1. Docosahexanoic acid

Explanation: Am. a. Docosahexanoic acid (Ref: CPDT M* e p2H6)The important fatty acid present in breast milk, which is important for baby growth is Docosahexanoic acid."Up to 5-10% of fatty acids in human milk are poly-unsaiurated Most of these are Linoleic acid with smaller amounts of Linolenic acid. Linoleic acid gives rise to arachidonic acid. Linolenic acid gives rise to Docosahexanoic acid Docosahexanoic acid is found in human milk and brain lipids and is requiredfor the development of our nervous system and visual abilities during the first six months of life. Lack of sufficient docosahexanoic acid may be associated with impaired mental and visual functioning as well as attention deficit hyperactivity disorder. "Breast milk contains all three types of essentia! fatty acids (EFAs)Omega-3Omega-6Omega-9* Breast milk is rich in omega -3 fatty acids.* Omega-3 fats come in three forms: as docosahexanoic acid (DHA), eicosapentaenoic acid (ERA) and alpha linolenic acid (ALA)* Breast milk contains EPA and DHA.* The body cannot produce these fats on its own, which is why these healthy fats are called essential fatty acids.* Omega-6 fats are also considered essential because these fatsare needed for heart and brain development* Linoleic acid and arachidonic acid (AHA) are omega-6 fats found in human breast milk.* The body is able to convert linoleic acid into gamma linolenic acid (GLA) when needed.* GLA is vital for proper organ functioning.* Omega-9 (Oleic acid) is healthy fat found in a mother's milk* Not as essential as omega-3 and omega-6, but this fatty acid still plays a vital role in the body.* Work as a back-up when thereis not enough omega-3 or-6 in the body.* When there is enough good fat in the body, omega-9 simply enhances the other fats.